when the patient repeate the same answer even when the question is changed is called as
1. perseveration
2. puns
3. clang assosiation
4. neologism

Correct answer: 1. perseveration

Explanation: * Neologism= they will introduce new words that are not present in one's dictionary , seen in SCHIZOPHRENIA perseveration, === here the same answer will be repeated even when the question is changed, a feature of ORGANIC BRAIN SYNDROME clang, ====subsequent words will have rhyming seen in MANIA puns,=== double meaning words echolalia=== unconscious repletion of words said by the examiner, seen in catatonia Ref.Kaplon and sadock, synopsis of psychiatry, 11 th edition, Pg. no .195